Marginal lymphoma is type of:
1. B cell lymphoma
2. T cell lymphoma
3. NK cell lymphoma
4. Hodgkins lymphoma

Correct answer: 1. B cell lymphoma

Explanation: Marginal zone lymphoma is a B cell tumour has the presence of translocation t(11,18) it is associated with H.pylori infection. They have the following execeptional characteristics: Often arise within tissues involved by chronic inflammatory disorders of autoimmune or infections etiology. Remain localized for prolonged periods spreading systematically only late in their course. May regress if the inciting agent is eradicated.( ref Robbins 9/e p603)